DSM IV criterion for depression is?
1. 1 week
2. 2 weeks
3. 3 weeks
4. 4 weeks

Correct answer: 2. 2 weeks

Explanation: Ans. B. 2 weeksFor the diagnosis of minor depression 2-4 and for major depression > 5 DSM IV symptoms are required for at least for a two week period.